The connective tissue of the gingiva is known as the:
1. Lamina dura
2. Dental cuticle
3. Lamina propria
4. Fibroblasts

Correct answer: 3. Lamina propria